"Metastatic" calcification is most often seen in:
1. Lymph nodes
2. Lungs
3. Spleen
4. Liver

Correct answer: 2. Lungs

Explanation: Lungs